Usually bacterial infection causes :
1. Neutropenia
2. Neutrophilia.
3. Lymphocytosis.
4. Eosinophilia

Correct answer: 2. Neutrophilia.

Explanation: Note: Usually

Bacterial infections cause Neutrophilia,
Viral infections cause lymphocytosis,
Parasitic infections cause eosinophila,
T-cell lesions causes viral and fungal infections,
B-cell lesions cause bacterial infections.